An abattoir worker developed pustule which later progress to necrotic ulcer. Which of the following stain is useful emonstration of organism from smear made from pustule ?
1. Polychromic methylene blue
2. Chalkofluor white
3. Geimsa
4. Modified kinyon stain

Correct answer: 1. Polychromic methylene blue

Explanation: Ans.(a) Polychromic methylene blue It is case of cutaneous anthrax in abattoir worker (slaughter house worker). Cutaneous anthrax is also common in dock workers (who carry loads of hides and skin on their bare backs), butchers, farmers, veterinarians, workers involved in meat packing. Pulmonary anthrax is common in workers of wool factories. Intestinal anthrax occur in communities who eat carcasses of animals dying of anthrax. Stains used in case of anthrax: - Gram's stain - Sudan black B - Polychrome methylene blue (stains capsule = M'Fadyean reaction).